Urinary bladder develops from ?
1. Preallantoic hind gut
2. Proctodeum
3. Cloaca
4. None

Correct answer: 3. Cloaca

Explanation: Postallantoic part of hind gut is the dilated endodermal cloaca, which is separated from the surface by cloacal mambrane.Urorectal septum divides endodermal cloacae into :-i) Anterior part, known as primitive urogenital sinus, which develops into urinary bladder and urethra.ii) Posterior part, known as primitive rectum, which gives rise to lower part of rectum and upper part of anal canal.